False about Follicular cancer:
1. More common in endemic areas, it is more malignant in females
2. FNAC cannot differentiate adenoma from carcinoma
3. Not encapsulated
4. Common at age 50 yrs

Correct answer: 3. Not encapsulated

Explanation: Ans. (c) Not encapsulated.Ref: Bailey and Love 26th edition, Page 765* Most follicular cancers are capsulated.* Papillary cancer is also capsulated.* Sometimes rapidly growing follicular cancers will have no capsule.